Base of the skull fracture presents with involvement of the petrous temporal bone, which of the following is the important sign?
1. A.Subconjuctival haematoma
2. B.CSF rhinorrhoea
3. C.Raccon eye
4. D.Battle sign

Correct answer: 4. D.Battle sign

Explanation: Battle's sign Middle cranial fossa fracture(Petronius part of temporal bone) Bruising/ecchimosi over the mastoid process in the line of posterior auricular artery. Raccoon sign,Panda sign,Spectacle haematoma,Black eye:- Haemorrhages in soft tissues around the eye and in eyelids. Causes: Direct trauma,punch to eye. Blunt impact to forehead , the blood gravitating downwards over supraorbital ridge. Fracture of floor of the anterior fossa of the skull.